Even in large dosages used in malaria, quinine does not cause toxicity, because -
1. It enters in fat cells
2. Elevated plasma alpha acid glycoprotein
3. Deposited in infected RBC's
4. Excreted rapidly in urine

Correct answer: 2. Elevated plasma alpha acid glycoprotein

Explanation: Ans. is 'b' i.e., Elevated plasma alphai acid glycoprotein o Patient with malaria can achieve high plasma level of quinine with few signs of toxicity because of the elevated plasma alphal acid glvcoproteins, produced during acute phase of infection. It prevents quinine toxicity through binding of most of the drug in the plasma.